Recurrent dislocations are least commonly seen in:
1. Ankle
2. Hip
3. Shoulder
4. Patella

Correct answer: 1. Ankle

Explanation: Complete dislocation of Ankle is rare because the talus cannot be completely dislocated from the joint unless all ligaments are torn. Recurrent ankle instability following ligamentous injury may be seen, but such instability is not associated with frank dislocations (although subluxation of joint may be seen). Ref: Campbell's Operative Orthopaedics, 10th Edition, Pages 2655, 2670, 2677, 2717; Oxford Handbook of Orthopaedic and Trauma Nursing By Rebecca Jester, Julie Santy, Jean Rogers, Page 342